The Supporting Cells of the Testes are?
1. Spermatogonia
2. Leydig cells of testes
3. Cells of sertoli
4. Spermatids

Correct answer: 3. Cells of sertoli

Explanation: Cells of sertoli